A 47 year old post menopausal lady was on adjuvant hormonal treatment with Tamoxifen for 3 years for Carcinoma Breast. She came to Outpatient Department with history of passing blood clots per vagina. She is probably suffering from:
1. Carcinoma Vulva
2. Carcinoma Vagina
3. Carcinoma Endometrium
4. Uterine fibroid

Correct answer: 3. Carcinoma Endometrium

Explanation: Ans. (c) Carcinoma Endometrium(Ref Surgery Sixer 3rd Edition Page 276)* Endometrial carcinoma is a dangerous complication on giving Tamoxifen due to continuous estrogenic stimulation on Endometrium.